Muscle relaxant of choice in renal and hepatic failure is :
1. Cis–atracurium
2. Vecuronium
3. Rocuronium
4. Rapacuronium

Correct answer: 1. Cis–atracurium